Which tendon is frequently absent in the upper limb?
1. Flexor carpi ulnaris
2. Flexor digitorum profundus
3. Extensor carpi radialis brevis
4. Palmaris longus

Correct answer: 4. Palmaris longus

Explanation: The palmaris longus may not always be present. It has a short belly and long tendon. It originates from the medial epicondyle of the humerus. Distally, it passes over the flexor retinaculum with which its fibres mingle and is attached to the palmar aponeurosis. Reference: Clinical Anatomy for students, a problem-solving approach, Neeta v Kulkarni, 2nd edition, page no140